Porto-systemic shunt is not seen in which of the following abdominal structures?
1. Liver
2. Spleen
3. Anorectum
4. Gastro Esophageal

Correct answer: 2. Spleen

Explanation: Portosystemic shunts occur at sites where the portal system veins anastomose with systemic veins. These are alternative routes of blood flow during portal obstruction. Spleen is not known to have portosystemic shunts.Ref: Human Anatomy, B D Chaurasia, 4th Edition, Volume 2, Chapter 21, Page 270, 271; Textbook of Anatomy with Colour Atlas, Inderbir Singh, 4th Edition, Chapter 50, Page 689.